Which of the following is not an acute phase-
1. CRP
2. Fibrinogen
3. Tissue factor
4. Serum amyloid A

Correct answer: 3. Tissue factor

Explanation: acute phase proteins are plasma proteins, mostly synthesised in the liver whose plasma concentrations may increase several hundred folds as part of the response of inflammation CRP Fibrinogen Serum amyloid A (SAA) ref robbins 9th ed page 99